Which of the following is NOT seen in ARDS:
1. Pulmonary edema
2. Hypercapnia
3. Hypoxemia
4. Stiff lung

Correct answer: 2. Hypercapnia

Explanation: Ans. B i.e. Hypercapnia ARDS/ Diffuse alveolar damage/ Shock lung Hypoxia, Hypocapnia, Acute onset of respiratory failure, Ground glass appearance on chest X-ray Air bronchogram sign is positive Associated with: Pancreatitis, - Trauma, - Multiple blood transfusions etc.